Splenectomy is often indicated in the management of which of the following?
1. Hereditary spherocytosis
2. Hereditary neurofibromatosis
3. Aplastic anemia
4. Pheochromocytoma

Correct answer: 1. Hereditary spherocytosis

Explanation: In hereditary spherocytosis, the abnormally shaped erythrocytes fail to pass through the splenic pulp and are more prone to earlier destruction. In hereditary elliptocytosis, the erythrocyte membrane also is abnormal. Children with spherocytosis should undergo splenectomy around their fourth birthday. Other less common hematological indications for splenectomy are thalassemia, sickle cell anemia, autoimmune anemia, and an enlarged spleen that becomes a major site of red cell sequestration.